Melanoma of choroid spreads most commonly to:
1. Lungs
2. Kidneys
3. Adrenals
4. Liver

Correct answer: 4. Liver

Explanation: Ans. D: Liver Choroidal melanomas ultimately cause death, practically always secondary to distant metastases rather than local spread. Its metastatic potential depends on the histopathologic aggressiveness of the tumor cells. Unfortunately, not infrequently it metastasizes before diagnosis. If the melanoma does not show extraocular extension, it can only spread hematogenously, because there are no lymphatic vessels in the eye. It most often metastasizes to the liver. Other organs of dissemination are lung, bone, skin, and CNS